Durgs used in migraine prophylaxis are all except
1. Flunarizine
2. Propranolol
3. Cyproheptadine
4. Sumatriptan

Correct answer: 4. Sumatriptan

Explanation: Ans. is 'd' i.e., Sumatriptan Sumatriptan is DOC for acute severe migraine. It is not indicated for prophylaxis of migraine attacks.